Complications of total thyroidectomy include all except
1. Hoarseness of voice
2. Airway obstruction
3. Hemorrhage
4. Hypercalcaemia

Correct answer: 4. Hypercalcaemia

Explanation: Rates of post-procedure hypocalcemia are approximately 5%, and it resolves in 80% of cases in approximately 12 months Other complications include haemorrhage , damage to recurrent laryngeal nerve and superior laryngeal nerve. Respiratory obstruction due to laryngeal oedema or very rarely due to collapse or kinking of the trachea(tracheomalacia). Ref : Robbins Basis 8/e 1121